Which of the following is true about roseola infantum –
1. Defervescene follows the rash
2. Caused by HHV 6 and 7
3. Slapped check appearance is seen
4. Otitis media is common complication

Correct answer: 2. Caused by HHV 6 and 7

Explanation: The child is having roseola infantum. It is caused by Human herpes - 6 (HHV-6).
The most prominent feature is abrupt onset of fever often reaching 40.6°C. The fever then ceases abruptly and a characteristic rash may appear. The rashes are maculopapular. Are non pruritic tend to coalesce and disappears in 1-2 days without pigmentation or desquamation.
Erythema infectiosum or fifth disease can be easily ruled out because the first sign of illness is the rash no fever. The rashes are masculopapular and they coalesce to given a slapped check appearance. One half of the infected children have some rash remaining for 10 days fine desquamation may be present.
In measles the rashes last for 6-7 days.
In typhoid the rashes appear on the 7th day of illness.